Prognosis is
1. Most likely cause of the disease
2. Least likely cause of the disease
3. Estimation of the likely course of the disease
4. None of the above

Correct answer: 3. Estimation of the likely course of the disease